Which of the following is the side effect of steroids due to its mineralocorticoid component ?
1. Skin striae
2. Hypertension
3. Osteoporosis
4. Moon face

Correct answer: 2. Hypertension